In lobar pneumonia, the presence of fibrinosuppurative exudate with disintegration of red cells is seen in the stage of
1. congestion
2. red hepatization
3. grey hepatization
4. resolution

Correct answer: 3. grey hepatization